All of the following are except- advantages of LMA
1. More reliable than face mask
2. Prevent aspiration
3. Alternative to Endotracheal intubation
4. Does not require laryngoscop & Visualization

Correct answer: 2. Prevent aspiration

Explanation: LMA is also called Brain mask .It is a supraglottic airway device.It is intermediate between face mask and ETT. Used in difficult airway,in minor and day care surgeries,no muscle relaxant is necessary Disadvantage is it doesn't prevent aspiration of gastric contents.